Progesterone is produced by
1. Granulosa luteal cells
2. Stroma ot the ovary
3. Theca cells
4. Sertoli cells

Correct answer: 1. Granulosa luteal cells

Explanation: Granulosa luteal cells